Sin of Gomorrah is also known as:
1. Anal coitus
2. Oral coitus
3. Lesbianism
4. Bestiality

Correct answer: 2. Oral coitus

Explanation: Oral coitus